Negri bodies are mainly found in ?
1. Brain stem
2. Cortical neurons
3. Hippocampus
4. Spinal cord

Correct answer: 3. Hippocampus

Explanation: Negril bodies are abundant un cerebellum&hippocampud REF:
ANATHANARAYANAN MICROBIOLOGY NINTH EDITION PAGE.531